What is seen earliest in USG?
1. Yolk sac
2. Fetal heart
3. Chorion
4. Placenta

Correct answer: 1. Yolk sac

Explanation: Yolk sac is the first anatomic structure seen within gestational sac. By TVS, it can be seen as early as 5.5week By TAS, it is seen by 7 weeks. Ref:Datta Obs 9e pg 601.